Type II cholangiocarcinoma involve
1. Division of both ducts and not extending outside
2. Common hepatic duct only
3. Secondary hepatic duct
4. Extending beyond hilum

Correct answer: 1. Division of both ducts and not extending outside

Explanation: Bismuth - corlette classification of Hilar Cholangiocarcinoma Type I- Tumor confined to hepatic duct, not involving the main biliary confluence Type II- Tumor involving the main biliary confluence but not extending to the right or left ducts Type IIIa- Tumor extending upto the right secondary biliary confluence Type IIIb- Tumor extending upto the left secondary biliary confluence Type IV - Tumor extending bilaterally to the secondary biliary confluence Ref : Sabiston 20th edition Pgno :1514-1518